Biological width means
1. Sum of connective tissue and junctional epithelium
2. Distance from the tip of the papilla to the base of the sulcus
3. Distance from marginal gingiva to muco-gingival junction
4. Distance from incisal edge of the tooth to muco-gingival junction

Correct answer: 1. Sum of connective tissue and junctional epithelium